A patient with major depressive disorder brought by her mother complaining that she tried hanging herself. She had so many attempts before and she talks more about deaths. Electroconvulsive therapy (ECT) is suggested. Which of the following is the absolute contraindication to ECT?
1. Brain rumour
2. Myocardial disease
3. Aortic aneurysm
4. No absolute contraindication

Correct answer: 4. No absolute contraindication

Explanation: There are no absolute contraindications to the use of electroconvulsive therapy (ECT), but some conditions are relative contraindications, they are:Space-occupying intracerebral lesions (except for small, slow growing tumors without edema or other mass effect)Conditions with increased intracranial pressureUnstable vascular aneurysms or malformationsIntracerebral hemorrhagePheochromocytomaRecent myocardial infarctionRef: Loosen P.T., Shelton R.C. (2008). Chapter 18. Mood Disorders. In M.H. Ebert, P.T. Loosen, B. Nurcombe, J.F. Leckman (Eds), CURRENT Diagnosis & Treatment: Psychiatry, 2e.